Antibody used in the treatment of Bronchial Asthma is:
1. Omalizumab
2. Rituximab
3. Daclizumab
4. Transtusuzumab

Correct answer: 1. Omalizumab

Explanation: Answer is A (Omalizumab): Omalizumab is a recombinant IgE Antibody approved for use in treatment of moderate and severe persistent asthma Omalizumab is a recombinant IgE blocking antibody that neutralizes circulating IgE. It prevents circulating IgE from binding to receptors on the surface of Basophils and Mast cells and thus inhibits IgE mediated reactions. Omalizumab is indicated for treatment of 'moderate to severe' persistent asthma in patients who react to perennial allergens (Allergic Asthma). Treatment with Omalizumab has shown to reduce the number of exacerbations in patients with severe asthma and may improve asthma control. However this treatment is very expensive and is only suitable for highly selected patients who are not controlled on maximal doses of inhaler therapy and have a high circulating IgE (within a specified range). Omalizumab is usually given as a subcutaneous injection for 2 to 4 weeks and may be used in adults and adolescents more than 12 years of age.